In children, catecholamine resistance shock managed by ?
1. Activated protein-C
2. Hydrocortisone
3. Nor-adrenaline
4. Vasopressin

Correct answer: 2. Hydrocortisone

Explanation: Ans. is 'b' i.e., Hydrocoosone